Antisocial personality is seen with -
1. Drug abuse
2. Paranoid schizophrenia
3. OCN
4. None

Correct answer: 1. Drug abuse

Explanation: Patient with antisocial personality disorder may have criminal behavior, homicide, sexual offence and drug abuse.